Necrobiosis Lipoidica Diabeticorum is most marked on:
1. Forearms
2. Face
3. Front of legs
4. Back of legs

Correct answer: 3. Front of legs

Explanation: Necrobiosis Lipoidica Diabeticorum is an uncommon disorder, accompanying diabetes in predominantly young women. This usually begins in the Pretibial region as an erythematous plaque or papules that gradually enlarge, darken, and develop irregular margins, with atrophic centers and central ulceration. They are often painful. The etiology is microangiopathy.